Glycogenin is a protein with self-glucosylation capacity. To which amino acid of glycogenin, glucose molecules are attached?
1. Serine
2. Threonine
3. Tyrosine
4. Hydroxylysine

Correct answer: 3. Tyrosine

Explanation: Glycogenin protein primer for glycogen synthesis. has self-glucosylation capacity. Glucose residues are added to the OH group of tyrosine residues of glycogenin through O-glycosidic bond. catalyse the addition of up to 8 glucose residues aalpha (1-4) glucosidic bond.